Sensory neural deafness associated with hereditary nephritis is seen in
1. Fanconi syndrome
2. Berger's disease
3. Albright syndrome
4. Alport's syndrome

Correct answer: 4. Alport's syndrome

Explanation: Clinically patients with Alports syndrome develop hematuria, thinning and splitting of GBM's,mild proteinuria (<1-2g/24hrs) which appears late in the course followed by chronic glomerulosclerosis leading to renal failure associated with sensorineural deafness. There r four forms of alports syndrome Type 1 classic As -x linked disorder with Hematuria,sensorineural deafness ,lenticonus Type 2-x linked form associated with diffuse leiomymomatosis T3 -autosomal recessive ,T4autosomal dominant -both forms can cause renal disease without deafness or lenticonus. Ref:Harrison 20 th edition pg no 2146,2977